Ophitoxemia means -
1. Spider bite
2. Tick bite
3. Poisoning by snake venom
4. Scorpion bite

Correct answer: 3. Poisoning by snake venom

Explanation: Ophitoxemia is poisoning by snake venom.